Basal skull view X-ray is best to visualize
1. Ethmoid sinus
2. Frontal sinus
3. Sphenoid sinus
4. Maxillary sinus

Correct answer: 3. Sphenoid sinus

Explanation: submento vertical view This view is taken with vertex near the film and x-ray beam projected at right angles to the film from submental area. Structures seen are External auditory canal Middle ear cleft i.e. mastoid air cells, middle ear and eustachian tube Internal auditory canal Sphenoid sinus Foramen ovale Carotid canal (Ref: Textbook of diseases of ENT, PL Dhingra, 7th edition, pg no. 493)